Which of the following is an example of Didactic method of communication?
1. Lecture
2. Group discussion
3. Workshop
4. Panel discussion

Correct answer: 1. Lecture

Explanation: Didactic method is a method of one way communication where the flow of communication is from the communicator to the audience. Lecture in a classroom is an example of such communication. Ref: Park 21st edition page: 794.